All of the following are characteristics of rickets except?
1. Bow-legs
2. Delay in teeth formation
3. Decreased plasma level of calcitriol
4. Decreased alkaline phosphatase activity

Correct answer: 4. Decreased alkaline phosphatase activity

Explanation: Rickets in children is characterized by bone deformities due to incomplete mineralization, resulting in soft and pliable bones and delay in teeth formation. The weight bearing bones are bent to form bow-legs.
In rickets, the plasma level of calcitriol is decreased and alkaline phosphatase activity is elevated. Alkaline phosphatase is concerned with the process of bone formation.

Reference: Satyanarayana- Biochemistry, 3rd edition, pg-127